Investigation of choice for vesicoureteric reflex
1. USG KUB
2. Micturating cystourethrography
3. CT
4. MRI

Correct answer: 2. Micturating cystourethrography

Explanation: MCU is IOC for vesicoureteric reflex.